Rosiglitazone mechanism of action is ?
1. Acts as PPAR gamma agonist
2. Inhibitor of alpha glucosidase
3. Acts as amylin analogue
4. Acts as dipeptidyl peptidase inhibitor

Correct answer: 1. Acts as PPAR gamma agonist

Explanation: Ans. is 'a' i.e., Acts as PPAR gamma agonist Rosiglitazone It is oral antidiabetic drug They are selective agonists for nuclear peroxisome proliferator activator receptor gamma (PPAR gamma) expressed in the fat and muscle cells. It enhances transcription of several insulin responsive genes. Reverse insulin resistance by enhancing GLUT 4 expression and translocation.